Which enzyme is defective in Refsums disease?
1. Phytanic acid oxidase
2. Succinate thiokinase
3. Malonate dehydrogenase
4. Thiophorase

Correct answer: 1. Phytanic acid oxidase

Explanation: A. i.e. Phytanic acid oxidase